Which is not a feature of glucocorticoid deficiency?
1. Hyponatremia
2. Hypoglycaemia
3. Fever
4. Hyperkalemia

Correct answer: 4. Hyperkalemia

Explanation: Clinical features of glucocorticoid deficiency: Weight loss and myalgia Fever NCNC anaemia, eosinophilia and increased lymphocytes Postural hypotension Hyponatremia Hypoglycaemia Hyponatremia occurs in glucocorticoid deficiency due to loss of feedback inhibition of AVP release. Cortisol maintains blood sugar and low cortisol explains hypoglycaemia. From the remaining two options the answer is hyperkalemia since it is a known feature of mineralocorticoid deficiency.